Which of the following antiplatelet drugs is a P2Y12 receptor blocker not effected by CYP2C19 polymorphism:
1. Clopidogrel
2. Prasugrel
3. Epitifibatide
4. Dipyridamole

Correct answer: 2. Prasugrel

Explanation: Prasuagrel is a third-generation thienopyridine antiplatelet agent that binds irreversibly to the P2RY12 receptor and inhibits ADP-mediated platelet activation and aggregation. The pharmacokinetics of prasuagrel's active metabolite is not known to be effective by genetic variations in CYP2C19 genotype. P2Y12 receptor Blockers P2Y12 Receptor Blockers are a group of Anti-platelet agents that inhibit the binding of ADP to its receptors on platelets and inhibit platelet aggregation. Inhibit the activation of the GP IIb/IIIa receptors required for platelets to bind to fibrinogen and to each other. P2Y12 receptor belongs a group of G-protein-coupled (GPCR) purinergic receptors that are chemoreceptor for adenosine diphosphate (ADP) Irreversible (Thienopyridines) Reversible (Cyclopentyltriaolo-pyrimidines) Ticlopidine (oral) (First generation) Clopidogrel (Oral) (Second generation) Prasugrel (Oral) (Third Generation) Ticagrelor (Oral) Cangrelor (Intravenous) Ref: Goodman and Gilman 13th edition Pgno: 597